Cicatricial alopecia is seen in – a) DLEb) SLEc) Secondary syphilisd) Psoriasise) Lichen planus
1. abc
2. bcd
3. abe
4. acd

Correct answer: 3. abe